Plasma cells are activated:
1. B cells
2. T cells
3. Macrophages
4. Monocytes

Correct answer: 1. B cells

Explanation: Ans: a (B cells) Ref: Robbins,7th ed, p. 199; Ananthanarayan, 7th ed, p. 125When B lymphocytes are activated by antigens (protein/non-protein) they get differentiated into antibody secreting cells, called plasma cells.Plasma cells:Cartwheel appearanceLifespan-2-3 daysMakes Ab of single specificity, single Ig clan & allotype.Immune mechanism: Produce only a single light chain only.B lymphocytes-plasma cells- ImmunoglobulinT lymphocytes- lymphokine production - Cell mediated immunity.Differentiation between B lymphocyte and T lymphocyte.* T cells form E rosette/SRBC rosette; B cells form EAC rosette* B cells carry Ig on their surface; T cells have T cell receptors (TCR)* B cell blast transformation with bacterial endotoxin, staph, aureus, EBV; T cell blast transformation with phytohemagglutinin, concanavalin A